In myasthenia gravis, which drugs should not be used – a) Gallamineb) Neostigminec) Aminoglycosidesd) Metronidazolee) Ampicilin
1. a
2. bc
3. ad
4. ac

Correct answer: 4. ac

Explanation: Non-depolarizing NM blocker (Gallamine) and antibiotics with NM blocking property (e.g. aminoglycosides) should be avoided in patients with mysthenia gravis.